Recommended time for acid etching before placing a pit and fissure sealant
1. 30 sec.
2. 60 sec.
3. 90 sec.
4. 120 sec.

Correct answer: 1. 30 sec.